Dukes classification is used for
1. Pancreas carcinoma
2. Gastric carcinoma
3. Urinary bladder carcinoma
4. Colo-rectal carcinoma

Correct answer: 4. Colo-rectal carcinoma

Explanation: Dukes' classification was originally described for rectal tumours but has been adopted for histopathological reporting of colon cancer as well. Dukes' classification for colon cancer is as follows: A: confined to the bowel wall; B: through the bowel wall but not involving the free peritoneal serosal surface; C: lymph nodes involved.Dukes himself never described a D stage, but this is often used to describe either advanced local disease or metastases to the liver.Dukes classified carcinoma of the rectum into three stages: A: The growth is limited to the rectal wall (15%); prognosis excellent. B: The growth is extended to the extrarectal tissues, but no metastasis to the regional lymph nodes (35%): prognosis reasonable. C: Secondary deposits in the regional lymph nodes (50%); prognosis is poor. These are subdivided into C1, in which the local pararectal lymph nodes alone are involved, and C2, in which the nodes accompanying the supplying blood vessels are implicated up to the point of division.A stage D is often included, which was not described by Dukes which signifies the presence of widespread metastases, usually hepatic.Reference : page 1180 and 1230 Bailey and Love's short practice of surgery 25th edition